All of the following drugs can precipitate acute attack of asthma except -
1. Pheylbutazone
2. Naproxen
3. Glucocorticoids
4. Aspirin

Correct answer: 3. Glucocorticoids

Explanation: Ans. is 'c' i.e., Glucocorticoids Drugs precipitating asthma o NSAIDs Heparin Heparin Nitrofurantoin beta-blockers Opioids Disulfiram Organophosphates Phenylbutazone, Naproxen and Aspirin are NSAIDS.